Bronchial asthma is associated with raised levels of
1. Leukotrienes
2. PGI2
3. PGE2
4. Thromboxane

Correct answer: 1. Leukotrienes

Explanation: Acute asthma attacks are often triggered by allergens or exercise. Inflammatory molecules called leukotrienes are one of several substances which are released by mast cells during an asthma attack, and it is leukotrienes which are primarily responsible for the bronchoconstriction Ref Davidson edition23rd pg 575